All the following are true regarding KERATOCONUS except
1. Munson sign is present
2. Hypermetropia is seen
3. Thinning of central cornea
4. Contact lens used as treatment

Correct answer: 2. Hypermetropia is seen

Explanation: Ans) b (hypermetropia is seen) Ref: kanski 6th ed p 288-289Keratoconus is a progressive disorder in which cornea assumes a conical shape secondary to thinning and protrusion. Presentation is during puberty with unilateral impairment of vision due to myopia and astigmatism.Signs include:1. oil droplet reflex - on distant direct ophthalmoscopy2. scissoring reflex - in retinoscopy3. vogt lines - fine vertical lines in descemets membrane on slit lamp examination4. Fleischer ring - epithelial iron deposition surroundind the base of the cone5. Munsons sign - bulging of lower lid on down gazeTreatment -Spectacles - to correct mild astigmatismrigid contact lens - for higher degrees of astigmatismKeratoplasty - for advanced cases with corneal scarring.